75% Lymph from breast goes to -
1. Axillary L.N.
2. Subciavicular L.N,
3. Internal mammary' L.N.
4. Cephalic L.N.

Correct answer: 1. Axillary L.N.

Explanation: Ans. is 'a' i.e., Axillary L.N. Lymph from Breast drains into the following lymph nodes|||Axillary nodesInternal mammary or ParasternalOthers like# Receives approx 75% of the drainage & are arranged in the following groups ;# Lateral# Anterior# Posterior a Central# Inerpectoral# Apical # Supracalvicular# Cephalic (deltopectoral)# Posterior intercostals# Subdiaphragmatico Clinical importance of lymphatic drainage of the breast is that carcinoma of the breast spreads mostly along the lymphatics to the regional lymph nodes.o The axiiiary nodes are divided into three levels according to their relation to pectoralis minor muscle* Level J - inferior to the lower border of the muscleLevel 11 - immediately behind its bellyLevel III - above and adjacent to the axillary vesselso Level I & Level II lymph nodes are dissected in modified radical mastectomy. o All three levels are removed inPatey s procedure of modified radical mastectomyRadical mastectomy